Ventricles of brain are lined by ?
1. Ependymocytes
2. Astrocytes
3. Oligodendrocytes
4. Podocytes

Correct answer: 1. Ependymocytes

Explanation: Ventricles of brain are lined by ependyma (ependymocytes).Ventricles of brainThese are cavities in the brain lined by ependyma and filled with CSF.They contain choroid plexuses wich secrete CSF.These are four fluid filled intercommunicating cavities within the brain :-i) Two lateral ventricles (right and left),ii) Third ventricle, andiii) Fourth ventricle. o Lateral ventricle communicates with third ventricle by interventricular foramen (foramen of Monro).Third ventricle communicates with fourth ventricle by cerebral aqueduct (aqueduct of sylvius).Fourth ventricle communicates with subarachnoid space by a median foramen (Mangendie) and two lateral (Luschka) foramina.